Which of the following antiarrhythmic drugs decrease action potential duration in purkinje fibres
1. Quinidine
2. Flecainide
3. Amiodarone
4. Lignocaine

Correct answer: 4. Lignocaine

Explanation: Refer kDT 6/e p 618 Lidocaine, also known as lignocaine, is a medication used to numb tissue in a specific area (local anesthetic). It is also used to treat ventricular tachycardia and to perform nerve blocks. Lidocaine mixed with a small amount of adrenaline(epinephrine) is available to allow larger doses for numbing, to decrease bleeding, and to make the numbing effect last longer. When used as an injectable, lidocaine typically begins working within four minutes and lasts for half an hour to three hours. Lidocaine mixtures may also be applied directly to the skin or mucous membranes to numb the area.